Purkinje cells from the cerebellum end in -
1. Extrapyramidal system
2. Cranial nerve nuclei
3. Cerebellar nuclei
4. Cerebral cortex

Correct answer: 3. Cerebellar nuclei

Explanation: The output of the Purkinje cells is inhibitory to the deep cerebellar nuclei.